All of the following statements about sodium fluoride in otosclerosis are true, except:
1. Acts by inhibiting Proteolytic enzymes in cochlea
2. Acts by inhibiting osteoblastic activity
3. Is contraindicated in chronic nephritis
4. Is indicated in patients with a positive Schwartze sign

Correct answer: 2. Acts by inhibiting osteoblastic activity

Explanation: In active cases i.e. when Schwartze sign is present, medical management with sodium fluoride (Na F) is done. Na F accelerates the maturation of the focus by increasing osteoblastic and decreasing osteoclastic activity. It also inhibits the proteolytic enzymes that release cytotoxic chemicals to cochlea.